Most common cardiac tumor:
1. Myxoma
2. Rhabdomyosarcoma
3. angiosarcoma
4. Metastasis

Correct answer: 4. Metastasis

Explanation: Ans. (d) MetastasisRef: Robbiris pathology 9th ed. /575-76* MC tumor of heart: Secondaries* MC site of primary for cardiac secondaries: Lungs* Most common primary neoplasm of heart in adult: Myxoma* Most common primary neoplasm of heart in child: Rhabdomyoma* Most common malignant cancer of heart in adults= Angiosarcoma* Most common malignant cancer of heart in children= Rhabdomyosarcoma* Myxoma is a soft mass, consisting of edematous connective tissue irregularly covered by thrombus, commonly attached to the endocardium by a pedicle, and hanging free into a cavity, usually the left atrium. (MC site of myxoma: Left atrium)* It may block the mitral orifice, producing a murmur like that of mitral stenosis.* Embolism from the surface of the neoplasm or an overlying thrombus is common.* The papillary fibroelastoma is very rare and occurs on heart valves. Therefore most common cardiac valve tumor is papillary fibroelastoma (Harrison's 19th ed).Also Know* MC site of myxoma: Left atrium* MC site of rhabdomyoma: Left ventricle* Myxoma is MC seen in females* MC age group of myxoma: 3 - 6th decade